Lead time is defined is ?
1. Time between diagnosis and treatment
2. Time between point where the diagnosis is made by screening test to usual diagnosis
3. Time between disease onset and outcome
4. Time between usual time of diagnosis and outcome

Correct answer: 2. Time between point where the diagnosis is made by screening test to usual diagnosis

Explanation: Ans. is 'b' i.e., Time between point where the diagnosis is made by screening test to usual diagnosis In respect to screening test and diagnostic test, a disease passes through following phase, sequentially. Disease onset - Disease process just started. First possible point of diagnosis - The earliest point in disease process where a diagnosis can be made, i.e., before this point diagnosis can not be made by any test. Final critical point of diagnosis - The point after which even diagnosis and treatment will not change the outcome. Usual time of diagnosis - Time in disease process when most of the people are diagnosed by usual diagnostic procedure (not screening test).